In growth of bone from the margins of the defect with gradual resorption of the graft is an example for
1. Ontogenesis
2. Osteoconduction
3. Osteoinduction
4. Osteopromotion

Correct answer: 2. Osteoconduction